Most Common "Primary" Tumor of Heart is?
1. Rhabdomyoma
2. Fibroma
3. Myxoma
4. Lipoma

Correct answer: 3. Myxoma

Explanation: ANSWER: (C) MyxomaREF: Robbins 8th Edn Page 583, 584, Harrison's 17th ed p-1495Repeat Pathology 2004See details of Myxoma in Surgery December 2011